Injury to long thoracic nerve leads to
1. Winging of scapula
2. Pointing index
3. Claw hand
4. Wrist drop

Correct answer: 1. Winging of scapula

Explanation: Injury to long thoracic nerve causes paralysis of serratus anterior muscle which clinically manifests as winging of scapula. The patient also finds difficulty in overhead abduction and touching the opposite shoulder. B D Chaurasia 7th edition Page no: 45